The pattern of bone destruction in periodontitis is
determined by:
1. Depth of the pockets
2. Suppuration
3. Pathway of inflammation
4. Composition of plaque

Correct answer: 3. Pathway of inflammation